Drug of choice in scabies in pregnant woman is -
1. Permethrin
2. Gamma Benzene Hexachloride
3. Ivermectin
4. Benzyl benzoate

Correct answer: 1. Permethrin

Explanation: Topical Permethrin 5% lotion is DOC in scabies in pregnant woman. MOA of Permethrin: Acts on Na channels. Crotamiton 10% and Precipitated sulphur can also be used Gamma Benzene Hexachloride: C/I in pregnancy. Ivermectin: Systemic agent used only in most severe scabies. Benzyl benzoate: disadvantage is multiple application is required.